Artery of anatomical snuffbox?
1. Radial
2. Ulnar
3. Brachial
4. None

Correct answer: 1. Radial

Explanation: Ans. is 'a' i.e., RadialAnatomical Snuffbox Triangular depression on the dorsal and radial aspect of the hand become visible when thumb is fully extended. BoundariesMedial/Posterior--Tendon of the extensor pollicis longus.Lateral/Anterior--Tendon of the extensor pollicis brevis and abductor pollicis longus.Roof--Skin and fascia with beginning of cephalic vein and crossed by superficial branch of the radial nerve. Floor--Styloid process of radius, trapezium, scaphoid and base of 1st metacarpal.Contents--The radial artery.